The cells seen after 72 hours in the infarcted area hi MI are -
1. Neutrophils
2. Lymphocytes
3. Macrophages
4. Monocytes

Correct answer: 3. Macrophages

Explanation: Ans. is 'c' i.e., MacrophagesAcute inflammatory reaction with a predominance of Neutrophils is seen upto 2-3 days.After 3 days (i.e. after 72 hours), Macrophages become the predominant cell type and become involved in removal of necrotic debris.